Fatal hemoglobin has all the following characteristic features except
1. Strong affinity for 2, 3-DPG
2. Oxygen dissociation curve is shifted to left
3. At low fetal PO2 gives up more oxygen to tissues that adult haemoglobin
4. Forms 80% of haemoglobin at birth

Correct answer: 1. Strong affinity for 2, 3-DPG

Explanation: Fetal hemoglobin, or foetal haemoglobin, (also hemoglobin F, HbF, or a2g2) is the main oxygen transport protein in the human fetus during the last seven months of development in the uterus and persists in the newborn until roughly 2-4 months old. Functionally, fetal hemoglobin differs most from adult hemoglobin in that it is able to bind oxygen with greater affinity than the adult form, giving the developing fetus better access to oxygen from the mother's bloodstream. In newborns, fetal hemoglobin is nearly completely replaced by adult hemoglobin by approximately 6 months postnatally, except in a few thalassemia cases in which there may be a delay in cessation of HbF production until 3-5 years of age. In adults, fetal hemoglobin production can be reactivated pharmacologically, which is useful in the treatment of diseases such as sickle-cell disease. Ref: guyton and hall textbook of medical physiology 12 edition page number: 310,311,312